Which of the following congenital anomalies is seen with maternal use of cocaine:
1. Sacral agenesis
2. Hydrops
3. Cerebral infarction
4. Hypertrichosis

Correct answer: 3. Cerebral infarction

Explanation: Ans. C. Cerebral infarctionCocaine - use has been associated with MI, arrhythmias aortic rupture, strokes seizures, bowel ischemia, hyperthermia, and sudden deatha. Risk of vascular disruption within the embryo-fetus or placenta is highest after the first trimester and likely accounts for the increased incidence of stillbirthsb. A number of cocaine related congenital anomalies due to vascular based disruption, they include skull defect, cutis aplasia, porencephaly, ileal atresia, cardiac anomalies and visceral infarctsDrug of abuse during pregnancy -Cocaine - LBW, preterm delivery, increased placental abrupt us, increased fetal death, fetal tachycardia and hypertension, CNS irritability, cerebral infarctCaffeine - Increased miscarriage and still birthsMarijuana - Thymic hypoplasia